The most common cause of lower motor neuron facial palsy is -
1. Cholesteatoma
2. Cerebello-pontine angle tumors
3. Bell's palsy
4. Postoperative (ear surgery)

Correct answer: 3. Bell's palsy

Explanation: The commonest cause of facial palsy is idiopathic or Bell's palsy, which is a LMN type of palsy.